Pulse protein is deficient in which of the following Essential Amino Acid?
1. Lysine
2. Threonine
3. Methionine
4. Tryptophan

Correct answer: 3. Methionine